When hot nail is placed on vital tooth surface
1. There is increase in intrapulpal pressure followed by decrease to above normal
2. There is increase in intrapulpal pressure followed by decrease to normal
3. There is increase in intrapulpal pressure followed by decrease to below normal
4. There is increase in intrapulpal volume without any increase in intrapulpal pressure

Correct answer: 1. There is increase in intrapulpal pressure followed by decrease to above normal